A 35-year-old male patient is admitted to the hospital with severe headaches. A CT scan evaluation reveals a tumor in the infratemporal fossa. Physical examination reveals loss of general sensation from the anterior two thirds of his tongue, but taste and salivation are intact. Which of the following nerves is most likely affected by the tumor?
1. Lingual proximal to its junction with the chorda tympani
2. Chorda tympani
3. Inferior alveolar
4. Lesser petrosal

Correct answer: 1. Lingual proximal to its junction with the chorda tympani

Explanation: The lingual nerve joins the chorda tympani in the infratemporal fossa, and a lesion to the lingual nerve before it joins the chorda tympani would account for the loss of general sensation, with no loss to the special sense of taste and saliva production. If the chorda tympani were injured, the patient would present with a loss of taste (anterior two thirds of tongue) and a decrease in saliva production because the submandibular and sublingual salivary glands would be denervated. The inferior alveolar nerve provides sensory innervation to the mandibular teeth, but no such loss is present. The lesser petrosal nerve innervates postganglionic neurons supplying the parotid gland, but no loss of salivation is present. The glossopharyngeal nerve provides taste innervation to the posterior third of the tongue, but there is no deficit present in this patient.